Point B in treatment of Ca Cervix by radiotherapy corresponds to -
1. Obturator nodes
2. Machenrodt's ligament
3. Ischial tuberosity
4. Round ligament

Correct answer: 1. Obturator nodes